Drug effective against dermatitis herpetiformis:
1. Dapsone
2. Corticosteroids
3. Chloroquine
4. Antihistaminics

Correct answer: 1. Dapsone

Explanation: Dapsone